Common sites of bleeding -a) Woodruff plexusb) Brown areac) Littles aread) Vestibular area
1. a
2. bc
3. ac
4. b

Correct answer: 3. ac